Which of the following workers is located at as sub-centre?
1. Anganwadi worker
2. Multi - purpose worker
3. ASHA
4. Health assistant

Correct answer: 2. Multi - purpose worker

Explanation: Multi - purpose worker is located at: Sub - centre Anganwadi worker is located at: Village level or Urban slums ASHA is located at : Village level Health assistant is located at: PHC.